Most common cause of empyema is
1. Bronchopleural fistula
2. Tubercular pneumonia
3. Bacterial pneumonia
4. Pleurisy

Correct answer: 3. Bacterial pneumonia

Explanation: Empyema thoracic is collection of pus in pleural space and is synonymous with grossly purulent exudative parapneumonic effusions. Ref Harrison 19th edition pg 951